Which of the following is true regarding anthracoid bacilli?
1. No growth in penicillin agar
2. Growth inhibited by chloral hydrate
3. Not susceptible to gamma phage
4. No growth at 45 degree celsius

Correct answer: 3. Not susceptible to gamma phage

Explanation: Anthracoid bacilli usually grow in penicillin agar. Their growth is not inhibited by chloral hydrate. They usually grow at 45 degree celsius. They are not susceptible to gamma phage. They are motile, non capsulated bacilli which grow in short chains.